Male patient with female like voice. This condition is called:
1. Puberphonia
2. Androphonia
3. Rhinolalia aperta
4. Rhinolalia clausa

Correct answer: 1. Puberphonia

Explanation: Ans. (a) PuberphoniaRef: Dhingra's ENT 6th ed./ 314-15* Androphonia: Female patient with male like voice. Cause can be psychological or organic* Puberphonia: Male patient with female like voice. Cause can be psychological or organic* Rhinolalia aperta:Hypernasalityin voice. Cause can be: cleft palate, Post adenoidectomy, oroantral fistula etc.* Rhinolalia clausa: Hyponasality in voice. Caused due to any pathology causing nasal obstruction.